Which of the following type of cataract gives a polychromatic lustre on slit lamp examination of the eye?
1. Complicated cataract
2. Diabetic cataract
3. Post-radiation cataract
4. Congenital cataract

Correct answer: 1. Complicated cataract

Explanation: Slit lamp examination of the lens of the eye in a case of complicated cataract shows bread crumbs like appearance and a characteristic rainbow display of colours which replaces the normal achromatic sheen (polychromatic lustre). Complicated cataract results from a disturbance of nutrition of the lens due to inflammatory or degenerative disease of other parts of the eye, such as iridocyclitis, ciliary body tumors, choroiditis, degenerative myopia, anterior segment ischemia, retinitis pigmentosa or retinal detachment. Ref: Parsons' Diseases of the Eye By Ramanjit Sihota & Radhika Tandon 21st edn page 262